Which of the following anesthetic agents does not trigger malignant hyperthermia?
1. Halothane
2. Isoflurane
3. Thiopentone
4. Suxamethonium

Correct answer: 3. Thiopentone

Explanation: Thiopentone sodium is a safe drug for general anaesthesia in patients susceptible for malignant hyperthermia. In such patients, anaesthesia should be induced using thiopentone sodium, muscle relaxation with pancuronium and maintained with oxygen and nitrous oxide supplemented by an opioid agent. Succinylcholine a muscle relaxant is the most common agent which trigger malignant hyperthermia. Halothane and isoflurane can also trigger it. Ref: Clinical Anaesthesia By Arun Kumar Pau, Page 455; Essentials of Medical Pharmacology By K D Tripathi, 5th Edition, Page 316; Clinical Intensive Care and Acute Medicine By Ken Hillman, 2nd Edition, Page 135.